Which of the following statements about Gastric carcinoma are true?
1. Occult blood in stool is not seen
2. Highly radiosensitive tumor
3. Squamous cell carcinoma is the most common histological subtype
4. Often associated with Hypochlorhydria/Achlorhydria

Correct answer: 4. Often associated with Hypochlorhydria/Achlorhydria

Explanation: Gastric carcinomas are often associated with hypochlorhydria and achlorhydria.

"About 20% of patients with carcinoma stomach are achlorhydric after maximal stimulation. Hypochlorhydria is present in about all the cases" - Textbook of Surgery by. Gupta 2/e 867

Adenocarcinomas are the most common histological subtypes of stomach cancer.

"About 85% of stomach cancers are adenocarcinomas"- Harrison 17/e p571

Occult blood in the stool may be seen in gastric ca.

"Acute GI bleeding is somewhat unusual (5%), but chronic occult blood loss is common and manifests as iron deficiency anemia and heme-positive stool."- Schwartz 9/e p932

Gastric ca are not radiosensitive; they are relatively radioresistant.

"Gastric adenocarcinoma is a relatively radioresistant tumor"- Harrison 17/e p573